Which of the following is not an adverse effect of ACE inhibitor
1. Cough
2. Hypokalemia
3. Angioneurotic edema
4. Skin rash

Correct answer: 2. Hypokalemia

Explanation: Refer kDT 6/e p 484 ACE inhibitors may result in hyperkalemia and not hypokalemia. The CAPTOPRIL mnemonic can be used to remember the side effectsof ACE inhibitors: cough, angioedema, potassium changes, taste change, hyp-O-tension, pregnancy changes, rash, increased renin, and lower angiotensin II. Another side effect is hyperkalemia.